Medical etiquette is related to:
1. Legal responsibilities of doctors
2. Rules to be followed by doctors
3. Courtesy observed between doctors
4. Moral principles followed by doctors

Correct answer: 3. Courtesy observed between doctors

Explanation: Ans. Courtesy observed between doctors